Toxoplasmosis in the foetus can be best confirmed by -
1. IgM antibodies againts Toxoplasma in the mother
2. IgM antibodies againts Toxoplasma in the foetus
3. IgG antibodies againts Toxoplasma in the mother
4. IgG antibodies againts Toxoplasma in the foetus

Correct answer: 2. IgM antibodies againts Toxoplasma in the foetus

Explanation: T.gondii serological profile include 1) The Sabin -Feldman dye test to detect IgG antibodies 2)ELISA for detection of IgM ,IgA and IgE antibodies 3)Immunosorbent agglutination assay to measure levels of IgE antibodies 4)Differential agglutination test to measure levels of IgG antibodies (refer pgno:69 baveja 3rd edition)